A narrow continuous line of brown dots which follow contour of gingival margin of posterior teeth in children is known as:
1. Burtonian line
2. Mesenteric line
3. Neonatal line
4. Developmental line

Correct answer: 2. Mesenteric line

Explanation: A black strain in the form of a fine line adjacent to the free gingival margin, which is not related to smoking, has been called metabolic strain and “mesenteric line.”
This stain may occur as a broad thin black line following the contour of the free gingival margin onto the interproximal surface of the teeth.